Glycoprotein IIb-IIIa complex is deficient in
1. Bernard soulier syndrome
2. Glanzmann disease
3. Von willibrand disease
4. Gray platelet syndrome

Correct answer: 2. Glanzmann disease

Explanation: Inherited deficiency of GpIIb-IIIa results in a bleeding disorder called Glanzmann thrombasthenia.(ref Robbins 9th/118)